A young boy came with dyspnea and was found to have a mediastinal mass. Which of the following is known to produce mediastinal lymphadenopathy?
1. Diffuse large B cell Lymphoma
2. B cell rich T cell lymphoma
3. Mediastinal rich B cell lymphoma
4. T cell Lymphoblastic ALL

Correct answer: 4. T cell Lymphoblastic ALL

Explanation: mediastinal lymphadenopathy ,sternal tenderness and mediastinal mass are seen with ALL.